Adenocarcinoma cervix is associated with all, except:
1. HPV 11
2. HPV 16
3. HPV 18
4. HPV 51

Correct answer: 1. HPV 11

Explanation: HPV strains for carcinoma cervix are HPV 16, 18, 31, 33, 35, 39, 45, 51, 52, 56 & 58 Ref: Novak's Gynaecology, 14th Edition, Page 568